Flight of idea is seen in
1. Mania
2. Schizophrenia
3. Depression
4. Delirium

Correct answer: 1. Mania

Explanation: A i.e. Mania